4 months old infant had respiratory distress.It was diagnosed as bronchiolitis. most common cause of this is
1. Measles
2. Respiratory syncytial virus
3. Influenza
4. Para Influenza virus

Correct answer: 2. Respiratory syncytial virus

Explanation: RSV is the m/c cause of lower respiratory tract infection below 1 year.